Medullary ca of thyroid is associated with increase in-
1. Calcitonin
2. Thyroglobulin
3. T3
4. T4

Correct answer: 1. Calcitonin

Explanation: Medullary carcinomas of thyroid are neuroendocrine tumours derived from the parafollicular cells or C cells. They secrete calcitonin,the measurement of which plays an important role in the diagnosis and post operative follow - up of patients.Calcitonin is readily demonstrable within the cytoplasm of tumour cells as well as in stromal amyloid by immunohistochemical methods. Ref: Robbins and cotrans 9e Pg 1099